All the following is found in Primary Sjogren syndrome exceptaEUR'
1. Lymphoma
2. Connective tissue disorder
3. Xerostomia
4. Xerophthalmia

Correct answer: 2. Connective tissue disorder

Explanation: Connective tissue disorder; 'd' i.e., Xerophthalmia Dryness of the eye occurs in Sjogren's syndrome but it cannot be termed xerophthalmia -It can be termed xerosis . Xerophthalmia is a term exclusively used for eve manifestations in Vitamin A deficiency. So, two options are wrong Most probably, they would have asked about Sjogren's syndrome, not primary Sjogren's syndrome. Sjogren's syndrome is a chronic disease characterized by ? - Dry eyes (keratoconjunctivitis sicca) - Dry mouth (xerostomia) It results from immunologically mediated destruction of the lacrimal and salivary glands. The characteristic decrease in tears and saliva is the result of lymphocytic infiltration and .fibrosis of the lacrimal and salivary glands. The infiltrates are predominantly activated CD4+ helper T cells. There has been some association of Hepatitic C infection with .sjogren's syndrome. Sjogrens syndrome is associated with antibodies directed against two ribonucleoprotein antigens SS-A (Ro) and SS-B (La). These antibodies are seen in upto 90% of the patients. Sjogrens syndrome can occur in two forms:- Primary form (isolated disorder) also known as Sicca syndrome. Secondary form (associated with other connective tissue disease). Connective tissue disorders associated with Sjogren's syndrome - Rheumatoid arthritis - SLE - Polymyositis - Sclerodenna - Vasculitis - Mixed connective tissue disease - Thyroiditis Clinical features Sjogrens syndrome occurs most commonly in older women typically between ages 50-60. Symptoms result from inflammatory destruction of the exocrine glands. Keratoconjunctivitis produces - Blurring of vision - Burning & itching - Thick secretions accumulate in conjunctival sac. Xerostomia - Difficulty in swallowing solid food - Cracks and. fissures in the mouth - Dryness of buccal mucosa Parotid gland enlargement - Seen in 50% of patients Sjogren syndrome is also associated with extraglandular involvement (in upto 1/3rd of patients). Extraglandular manifestation of sjogren's syndrome :? Arthralgias / arthritis Raynaud's phenomenon Lymphadenopathy Lung involvement Vasculitis Kidney involvement Liver involvement Lymphoma Splenomegaly Peripheral neuropathy Myosiris Two options are wrong in this question. Most probably they have not asked about primary Sjogren's syndrome. The question would have been about Sjogrens' syndrome only.